Which of the following fungal infection causes most commonly corneal ulcer:
1. Trichophyton
2. Aspergillus
3. Mucor
4. Sprothrix

Correct answer: 2. Aspergillus

Explanation: Ans. (b) AspergillusRef: Microbiology by Ananthanarayan and Paniker 8th ed. /613, 659-60* Fungal infections of the cornea are secondary to injury, bacterial infection and treatment with antibacterial agents and steroids.* Occur most often in hot climates.* It can also caused by common saprophytic moulds- Aspergillus and Fusarium